All of the following glands are supplied by the facial nerve, EXCEPT:
1. Nasal glands
2. Lacrimal gland
3. Parotid gland
4. Submandibular gland

Correct answer: 3. Parotid gland

Explanation: Parotid gland receives parasympathetic innervations from glossopharyngeal nerve and not facial nerve.Glossopharyngeal nerve (IX): Originates from the lateral aspect of the brain stem just inferior to the medulla pons border and posterior to the olive. It provides sensory innervations to the mucosa of middle ear cavity, oral pharynx, posterior one third of the tongue, baroreceptor and chemoreceptor associated with carotid artery. It is motor to stylopharyngeaus. Ref: B.D.Chaurasia's Human Anatomy, 5th Edition, Volume 3, Pages 354, 361 ; Salivary Glands: Development, Adaptations and Disease By Abigail S. Tucker, Page 7 ; Neuroscience in Medicine By P. Michael Conn, Page 260